Gas used to measure diffusion in lung:
1. CO
2. NO
3. CO2
4. Nitrogen

Correct answer: 1. CO

Explanation: A i.e. CO